Use of dexemditomidine ?
1. Prolong action of LA in hypertensive patients
2. Sedative agent for intubated patients
3. Increases bioavailability of regional anaesthetic drug
4. Helps in reducing bispectral index of general anaesthetic drug with low potency

Correct answer: 2. Sedative agent for intubated patients

Explanation: Ans. is 'b' i.e., Sedative agent for intubated patients Dexmeditomidine It is a centrally acting a-2 adrenergic agonist It is approved by F.D.A. for short term (<24 hours) continuous IV sedation of adults who are tracheally intubated. Its use as an anaesthetic agent is not recommended but it is useful in patients with brain injury and ongoing sedation needs